Accessory obturator artery is a branch of -
1. Femoral artery
2. Obturator artery
3. Profunda femoris
4. Inferior epigastric artery

Correct answer: 4. Inferior epigastric artery

Explanation: Ans. is 'c' i,e., Inferior epigastric artery Accessory obturation artery is the pubic branch of the inferior epigastric artery-o The normal obturator artery is a branch of the internal iliac. It gives a pubic branch which anastomoses with the pubic branch of the inferior epigastric artery.o Occasionally, this anastomoses is large and the obturator artery then appears to be a branch of the inferior epigastric.o Usually, the abnormal (accessory) artery passes lateral to the femoral canal in contact with the femoral vein and is safe in an operation to enlarge the femoral ring.o Sometimes, however, the abnormal obturator artery' may lie along the medial margin of the femoral ring,i.e. along the free margin of the lacunar ligament. The femoral ring is enlarged by cutting the lacunar ligament.o So, in this case the artery is likely to be cut.